Which of the following is not a bizarre delusion?
1. I am followed by aliens from another universe
2. There is chip inserted in head to locate me
3. My wife is definitely having affair with a colleague
4. I am the immortal power

Correct answer: 3. My wife is definitely having affair with a colleague

Explanation: Ans. C. My wife is definitely having affair with a colleagueDSM treats the presence of bizarre delusions (BD) as the heaviest-weighted clinical criterion of schizophrenia and define bizarre delusion as "clearly implausible and not understandable and not derived from ordinary life experiences".